Ectopic ACTH is commonly secreted by:
1. Small cell carcinoma of the lungs
2. Pancreatic carcinoma
3. Gall bladder malignancy
4. Medullary carcinoma of thyroid

Correct answer: 1. Small cell carcinoma of the lungs

Explanation: Ans. A: Small cell carcinoma of the lungsEndogenous Cushing's syndrome results from some derangement of the body's own system of secreting cortisol. Normally, ACTH is released from the pituitary gland when necessary to stimulate the release of cortisol from the adrenal glands.In pituitary Cushing's, a benign pituitary adenoma secretes ACTH. This is also known as Cushing's disease and is responsible for 65% of endogenous Cushing's syndrome.In adrenal Cushing's, excess cortisol is produced by adrenal gland tumors, hyperplastic adrenal glands, or adrenal glands with nodular adrenal hyperplasia.Finally, tumors outside the normal pituitary-adrenal system can produce ACTH that affects the adrenal glands. This final etiology is called ectopic or paraneoplastic Cushing's syndrome and is seen in diseases like small cell lung cancer.